A 3-year-old boy is brought to the outpatient clinic with a swelling in the side of his neck. Physical examination reveals a congenital mass of tissue anterior to the superior third of the sternocleidomastoid muscle. The swelling is asymptomatic, non-painful, and soft. Which of the following is the most likely diagnosis?
1. Branchial cleft cyst
2. Ruptured sternocleidomastoid muscle
3. Lymph node infl ammation
4. Torticollis

Correct answer: 1. Branchial cleft cyst

Explanation: (a) Source: GAS 970-971; GA 492-493 Pharyngeal (branchial) cleft cysts are the most common congenital cause of a neck mass. They are epithelial cysts that arise anterior to the superior third of the sternocleidomastoid muscle (1) from a failure of obliteration of the second branchial cleft in embryonic development. The second arch grows caudally and, ultimately, covers the third and fourth arches. The buried clefts become ectoderm-lined cavities that normally involute. Occasionally this process is arrested and the entrapped remnant forms an epithelium-lined cyst, in some cases with a sinus tract to the overlying skin. (2) Many branchial cleft cysts are asymptomatic; others may become tender, enlarged, or inflamed, or they may develop abscesses that rupture, resulting in a purulent draining sinus to the skin or pharynx. Surgery is indicated in these cases.